MOST common acute complication of hemodialysis is:
1. Muscle cramps
2. Anaphylaxis
3. Hypotension
4. Arrythmias

Correct answer: 3. Hypotension

Explanation: Hypotension is the most common acute complication of hemodialysis. It is particularly common among patients with diabetes mellitus. The factors that appear to increase the risk of hypotension, are excessive ultrafiltration with inadequate compensatory vascular filling, impaired vasoactive or autonomic responses, osmolar shifts, overzealous use of antihypertensive agents, and reduced cardiac reserve. Ref: Harrisons principles of internal medicine, 18th edition, Page: 2324.